Sphincter and dilator pupillae develop from
1. Mesoderm
2. Surface ectoderm
3. Neuroectoderm
4. Endoderm

Correct answer: 3. Neuroectoderm

Explanation: Muscles of the iris (sphincter and dilator papillae) and myoepithelial cells of the sweat glands are derived from ectoderm.Ref: Human Embryology; Inderbir Singh; Tenth edition; Page no:113